Which of the following is the most likely metabolic effect of insulin on adipose tissue?
1. decrease of glucose transport
2. decrease in glucose phosphorylation
3. decrease in lipolysis
4. decrease in lipoprotein lipase

Correct answer: 3. decrease in lipolysis

Explanation: The action of insulin involves all three major metabolic fuels (carbohydrate, protein, fat). It is active in liver, muscle, and adipose tissue. In each there are anticatabolic as well as anabolic effects. These tend to reinforce each other.